Malonate competitively inhibits
1. Fumarate dehydrogenase
2. Succinate dehydrogenase
3. Aconitase
4. Succinate thiokinase

Correct answer: 2. Succinate dehydrogenase

Explanation: Inhibitors of TCA Cycle - A. Aconitase (citrate to aconitate) is inhibited by fluoro-acetate. This is non-competitive inhibition. B. Alpha ketoglutarate dehydrogenase (alpha ketoglutarate to succinyl CoA) is inhibited by Arsenite. This again is non-competitive inhibition. C. Succinate dehydrogenase (succinate to fumarate) is inhibited by malonate; this is competitive inhibition. competitive inhibition - In competitive inhibition, the inhibitor will be a structural analog of the substrate. There will be similarity in three dimensional structure between substrate (S) and inhibitor (I). For example, the succinate dehydrogenase reaction is inhibited by malonate. Competitive inhibition is usually reversible. Or, excess substrate abolishes the inhibition. REF:DM VASUDEVAN TEXTBOOK OF BIOCHEMISTRY,EIGHTH EDITION,PG.NO.,309,63.